In a village every fifth house was selected for a study. This is an example of -
1. Simple random sampling
2. Systematic random sampling
3. Stratified random sampling
4. Convenience sampling

Correct answer: 2. Systematic random sampling

Explanation: Systematic random sample: this is done by picking every 5th and 10th unit at regular intervals. Ref: 25th edition, Park's Textbook of Preventive and Social Medicine, Page no. 913